A 38 year old male presents to the OPD with swelling in the inguinal region. On examination inguinal nodes are enlarged along with multiple discharging sinuses from the enlarged lymphnodes. What is the most probable diagnosis?
1. Chancroid
2. LGV
3. Syphilis
4. Granuloma inguinale

Correct answer: 2. LGV

Explanation: Patient in the question is most likely suffering from Lymphogranuloma venerum caused by Chlamydia trachomatis (L1, 2, 3). It is associated with sign of groove when both inguinal and femoral lymph nodes are enlarged and are separated by the inguinal ligament. Ref: Illustrated Synopsis of Dermatology and Sexually Transmitted Diseases By Neena Khanna 2e page 262.